Asbestosis of the lung is associated with all of the following features, EXCEPT:
1. Mesothelioma
2. Progression of lesion even after stopping exposure to asbestos.
3. Nodular lesions involving upper lobe
4. Asbestos bodies in sputum

Correct answer: 3. Nodular lesions involving upper lobe

Explanation: Lesions of asbestosis in the lung involves thickening or calcification along the parietal pleura particularly along the lower lung fields, the diaphragm, and the cardiac border. As the disease progress, linear opacities seen initially in the lower lung lobes and then it spreads to the middle and upper lung fields. Asbestosis develops in workers involved in the production of asbestos products, shipbuilding and construction trades, including pipe fitters and boilermakers. Lung cancer is the most common cancer associated with asbestos exposure. Its exposure is associated with the development of both pleural and peritoneal mesothelioma. Mesotheliomas are not associated with smoking. Ref: Harrison's Principles of Internal Medicine, 18e chapter 256 By John R. Balmes.